Following blood transfusion, non-cardiogenic pulmonary oedema may sometimes occur because of-
1. RBC incompatibility
2. Antigen-antibody mechanism involving human leucocyte antigen
3. Platelet surface antigen reaction
4. Antibody to IgA in donor plasma

Correct answer: 2. Antigen-antibody mechanism involving human leucocyte antigen